Voyeurism is also known as -
1. Scotophilia
2. Priapism
3. Frotteurism
4. Onanism

Correct answer: 1. Scotophilia

Explanation: Ref:synopsis of forensic medicine and toxicology (K.S.Narayan Reddy) 28th edition, page no. 232 Voyeurism or scotophilia is the counter part of exhibition. Voyer is defined as one who, over a period of six months or more, experience recurrent, intense sexual arousing fantasies, sexual urges or behaviors involving the act of observing an in suspected person who is naked, in the process of disrobing, or engaged in sexual activity. Most often, victim is a stranger. Masturbation at the scene or later to the memories of watching the unsuspecting stranger is normally the source of sexual pleasure.